In humans carbohydrates are stored as:
1. Glucose
2. Glycogen
3. Starch
4. Cellulose

Correct answer: 2. Glycogen

Explanation: Ans. B. Glycogen(Ref: Harper 30/e page 164)Glycogen is the storage polysaccharide in animals and is sometimes called animal starch.